Source of norepinephrine is?
1. Phenylalanine
2. Alanine
3. Tyrosine
4. Tryptophan

Correct answer: 3. Tyrosine

Explanation: Tyrosine REF: Lehninger Principles of Biochemistry 4th Edition page 440, 678, and 859 "Tyrosine gives rise to a family of catecholamines that includes dopamine, norepinephrine, and epinephrine" "Norepinephrine is synthesized by a series of enzymatic steps in the adrenal medulla and postganglionic neurons of the sympathetic nervous system from the amino acid tyrosine"